Numerous cases of trachoma is reported in a period of time in a village. All of the following are the criteria to establish the presence of endemic trachoma in a community, EXCEPT:
1. Ectropion
2. Herbert's pits
3. conjunctival scarring
4. vascular loops extending onto the cornea

Correct answer: 1. Ectropion

Explanation: To establish the presence of endemic trachoma in a family or community, a substantial number of children must have at least two of the following signs: Five or more follicles on the flat palpebral conjunctiva lining the upper eye lid. Typical conjunctival scarring of the upper palpebral conjunctiva. Limbal follicles or their sequelae (Herbert's pits). An even extension of blood vessels on to the cornea, most marked at the upper limbus. All of the signs of trachoma are more severe in the upper than in the lower conjunctiva and cornea. Ref: Nijm L.M., Garcia-Ferrer F.J., Schwab I.R., Augsburger J.J., Correa Z.M. (2011). Chapter 5. Conjunctiva & Tears. In P. Riordan-Eva, E.T. Cunningham, Jr. (Eds), Vaughan & Asbury's General Ophthalmology, 18e.